Branch of basilar artery include:
1. Posterior inferior cerebellar artery
2. Posterior cerebral artery
3. Middle cerebral artery
4. Posterior communicating artery

Correct answer: 2. Posterior cerebral artery

Explanation: B. i.e. Posterior cerebral a.